Removal of acid drugs from the body is done by using
1. Ammonium chloride
2. Sodium bicarbonate
3. Hydrochloric acid
4. Citric acid

Correct answer: 2. Sodium bicarbonate

Explanation: Ref-KDT 6/e p30